Transparency of cornea is mainly due to which layer?
1. Endothelium
2. Descemet s membrane
3. Bowmans membrane
4. None of these

Correct answer: 1. Endothelium

Explanation: Ans. (a) EndotheliumRef: Khurana 4/e, p 90